Arrange the following clotting factor in sequence that they follow in coagulation cascade? 1. 132. 123. 104. 55. 9
1. 2-3-4-1-5
2. 2-5-3-4-1
3. 1-2-5-3-4
4. 2-3-5-4-1

Correct answer: 2. 2-5-3-4-1

Explanation: Ans. (b) 2-5-3-4-1Ref: Robbins and Cotran Pathologic Basic Disease 9th Ed; Page No-122"Extra MileCoagulation and kinin pathways